Discriminant score is used for management of?
1. Viral hepatitis
2. Alcoholic hepatitis
3. Variceal bleeding
4. Weight loss

Correct answer: 2. Alcoholic hepatitis

Explanation: Discriminant score >32: STEROID | Alcoholic Hepatitis DS = 4.6 x (|PT over normal) + S. Bilirubin Variceal Bleeding DOC octreotide somatostatin analogy